Drug resistance in Tuberculosis is due to ?
1. Transformation
2. Transduction
3. Conjugation
4. Mutation

Correct answer: 4. Mutation

Explanation: Ans. is 'd' i.e., Mutation